Not true regarding NK cells is?
1. Active against malignant cells
2. Involve MHC antigen for killing micro-organisms
3. First line defense against viral infections
4. No prior sensitization required

Correct answer: 2. Involve MHC antigen for killing micro-organisms

Explanation: Ans. (b) Involve MHC antigen for killing microorganisms (Ref: Robbins 9th/pg 192; 8th/pg 188)Natural Killer Cells Destroy virus-infected cells and tumor cells without prior exposure;NK cells do not require MHC for killing micro-organismsSurface molecules of NK cells are CD16 & CD56